Toxic epidermal necrolysis (TEN) involves body surface area -
1. < 10%
2. 10-20%
3. 20-30%
4. > 30%

Correct answer: 4. > 30%

Explanation: Ans. is 'd' i.e., > 30%